Tom Smith arthritis involves -
1. Knee
2. Hip
3. Ankle
4. Wrist

Correct answer: 2. Hip